All of the following are major complications of massive transfusion except
1. Hypothermia
2. Hypocalcaemia
3. Hypokalemia
4. Hypomagnesemia

Correct answer: 3. Hypokalemia

Explanation: Hyperkalemia not hypokalemia is a major complication of a massive blood transfusion Metabolic complications of Massive transfusion General Fluid overload Hypothermia Impaired oxygen delivery capacity of Hb (decreased 2,3-DPG) Electrolyte Hyperkalemia Hypocalcemia Hypomagnesemia Metabolic alkalosis Metabolic acidosis (rare) Ref: Harrison's 19th edition Pgno :138e-3